Cellular bearings of hereditary diseases seen in
1. DNA
2. Ribosome
3. RNA
4. Membrane

Correct answer: 1. DNA

Explanation: Deoxyribonucleic acid (DNA) is a nucleic acid that contains the genetic instructions for the development and function of living things. All known cellular life and some viruses contain DNA. The main role of DNA in the cell is the long-term storage of information.